Which of the following causes of Anemia is associated with a Hypoplastic marrow -
1. Fanconi's Anemia
2. Paroxysmal Nocturanl Hemoglobinuria (PNH)
3. Hypersplenism
4. Myelofibrosis

Correct answer: 1. Fanconi's Anemia